A malarial survey is conducted in 50 villages having a population of 1 lakh. Out of 20000 slides examined,500 turned out to be malaria positive. The annual parasite incidence is
1. 5
2. 20
3. 0.5
4. 0.4

Correct answer: 1. 5